The most practical way of treating typoid carrier is -
1. Cholecystectomy
2. Chemotherapy
3. Vaccination
4. Isolation

Correct answer: 2. Chemotherapy

Explanation: The carrier should be given an intensive course of ampicillin or amoxycillin together with probenecid for 6 weeks. These drugs are concentrated in the bile and may achieve eradication of the carrier state in about 70% of carriers. Reference:Park's textbook of preventive and social medicine,K.Park,23rd edition,page no:237.